NOT a derivative of midgut:
1. Appendix
2. Jejunum
3. Ascending colon
4. Descending colon

Correct answer: 4. Descending colon

Explanation: Ans. (d) Descending colonRef. Langman's Medical embryology 9th ed./ 298* "Descending colon is a derivative of Hindgut"PartPart in adultGives rise toArterial supplyForegutOesophagus to first 2 sections of the duodenumOesophagus, Stomach, Duodenum (1st and 2nd parts), Liver, Gallbladder, Pancreas, Spleen, Superior portion of pancreasCeliac trunkMidgutLower duodenum, to the first two-thirds of the transverse colonLower duodenum, jejunum, ileum, cecum, appendix, ascending colon, and first 2/3rd of the transverse colonBranches of the superior mesenteric arteryHindgutLast third of the transverse colon, to the upper part of the anal canalLast third of the transverse colon, descending colon, rectum, and upper part of the anal canalBranches of the inferior mesenteric artery